Retroauricular incision in children less than 2 years old may cause damage to which cranial nerve
1. VIII
2. VII
3. VI
4. V

Correct answer: 2. VII

Explanation: Ans. is 'b' i.e., VII o Retroauricular incision especially in young children may cause damage to facial nerve as it runs very closely